In translation, center of rotation is at
1. Apical 1/3rd
2. Coronal 1/3
3. Infinity
4. Apex

Correct answer: 3. Infinity